Obturation may be done in the initial visit if
1. There is necrotic pulp
2. There is a swelling
3. The tooth is vital
4. The tooth is nonvital

Correct answer: 3. The tooth is vital